Gottron papules' seen in dermatomyositis are –
1. Vesicular
2. Psoriatic
3. Lichenoid
4. Pustular

Correct answer: 3. Lichenoid

Explanation: Gottron's papules show features of lichenoid reaction such as basal cell degeneration, colloid bodies, upper dermal lymphocytic infiltrate, PAS-positive thick basement membrane zone, mucin deposits